A 41 year old woman working as an executive in a company is convinced that the management has denied her promotion by preparing false reports about her competence and have forged her signature on sensitive documents so as to convict her. She files a complaint in the police station and requests for security. Despite all this she attends to her work and manages the household. What is the most likely diagnosis:-
1. Paranoid schizophrenia
2. Late onset psychosis
3. Persistent delusional disorder
4. Obsessive compulsive disorder

Correct answer: 3. Persistent delusional disorder

Explanation: In this question, there is a single delusion that management is against her and her actions are according to that delusion. Please remember that in delusional disorders, the areas of functioning which does not involve the delusion, remain unaffected. In this patient also, the history that she is able to do her work and manage household is suggesting that she is able to manage the areas of her life which are not affected by the delusion.